A patient presents with respiratory symptoms i.e.cough, hemoptysis and glomerulonephritis. His CANCAlevies in serum were found to be raised. Themost lkely diagnosis is :
1. Goodpasteur's syndrome
2. Classic polyarteritis nodosa
3. Wegener's granulomatosis
4. Kawasaki syndrome

Correct answer: 3. Wegener's granulomatosis

Explanation: . Wegener's granulomatosis